You are being asked to give your expert opinion as a toxicologist regarding and effective antidot for belladonna poisoning .which of the following agents would you suggest
1. Neostigmine
2. Physostigmine
3. Pilcocarpine
4. Methacholine

Correct answer: 2. Physostigmine

Explanation: Ref-KDT 6/e p113,114 Being Teritiary amine,physostigmine can reverse.CNS manifestation of belladonna(source of atropine) poisoning. It is therefore, Prefered as an antidot for this type of poisoning